For obesity BMI should be:-
1. >=20
2. >=40
3. >=50
4. >=30

Correct answer: 4. >=30

Explanation: park25th edition pageno:-428 classification BMI RISK OF COMORBIDITIES UNDERWEIGHT <18.5 LOW NORMAL RANGE 18.5-24.99 AVERAGE OVERWEIGHT: >25.00 Pre- obese 25.00-29.99 INCREASED Obese class 1 30.00-34.99 MODERATE Obese class 2 35.00-39.99 SEVERE Obese class 3 >40.00 VERY SEVERE